False about informed consent?
1. Comprehensive
2. Passive deception
3. Informed
4. Patient language

Correct answer: 2. Passive deception